'Cold Turkey' term is used to denote which of the following?
1. Consumption of heroin
2. Abrupt cessation of heroin
3. Gradual withdrawal of heroin
4. Place to withdraw a drug in a group

Correct answer: 2. Abrupt cessation of heroin

Explanation: Ans. is 'b' i.e., Abrupt cessation of heroin * 'Cold Turkey' means abrupt and complete cessation of taking a drug to which one is addiced.* Alcohol is not the only drug whereby quitting cold turkey poses a danger to the patient. People who are addicted to opiates (heroin, methadone, morphine, Suboxone, and even prescription benzodiazepines) are at immense risk if they try to stop their drug intake without a plan.